Wandering acetabulum is found in
1. Acetabular fractures
2. Tuberculosis hip
3. Septic hip
4. CDH

Correct answer: 2. Tuberculosis hip

Explanation: ref : maheswari 9th ed